Following is used to stain fungi
1. PAS
2. Fontana stain
3. Ferrous trichrome
4. Pearls prussian blue

Correct answer: 1. PAS